Single pill of MALA-D contains :-
1. L-norgesterol (LNGL) 0.15 mg and EE 0.03 mg
2. L-norgesterol (LNGL) 0.03 mg and EE 0.15 mg
3. D-norgesterol (LNGL) 0.15 mg and EE 0.03 mg
4. D-norgesterol (LNGL) 0. 03 mg and EE 0.15 mg

Correct answer: 1. L-norgesterol (LNGL) 0.15 mg and EE 0.03 mg

Explanation: - Department of family welfare , in the ministry of Health & Family welfare, Government of India, has made available two types of low dose oral pills under the brand name Mala-D & Mala-N. - They contain 0.15 mg of Levo-norgesterol and 0.03 mg of ethinyl estradiol. - Mala - D is a package of 28 pills is made available to consumer under social marketting at the price of Rs.3 per packet. - Mala -N is supplied free of cost through all PHCs , urban family welfare centers etc.